A 48-year-old female court stenographer is admitted to the orthopedic clinic with symptoms of carpal tunnel syndrome, with which she has suffered for almost a year. Which muscles most typically become weakened in this condition?
1. Dorsal interossei
2. Lumbricals III and IV
3. Thenar
4. Palmar interossei

Correct answer: 3. Thenar

Explanation: The thenar muscles (and lumbricals I and II) are innervated by the median nerve, which runs through the carpal tunnel. The carpal tunnel is formed anteriorly by the flexor retinaculum and posteriorly by the carpal bones. Carpal tunnel syndrome is caused by a compression of the median nerve, due to reduced space in the carpal tunnel. The carpal tunnel contains the tendons of flexor pollicis longus, flexor digitorum profundus, and flexor digitorum superficialis muscles. The dorsal interossei, lumbricals III and IV, palmar interossei, and hypothenar muscles are all innervated by the ulnar nerve.